Bilateral Rhonchii may be seen in all of the following except
1. Pulmonary edema
2. Bronchiectasis
3. Pulmonary embolism
4. Emphysema

Correct answer: 3. Pulmonary embolism

Explanation: Common causes of Rhonchii include: Bronchial asthma COPD- chronuc bronchitis, emphysema Cardiac asthma Foreign body Tumour Ref Harrison 19 th edition pg 1662